Large kidney is seen in A/E -
1. Benign nephrosclerosis
2. Lymphoma
3. Amyloidosis
4. DM

Correct answer: 1. Benign nephrosclerosis

Explanation: Ans. is 'a' i.e., Benign nephrosclerosis 2Kidney sized is increased ino Diabetes mellitus (Diabetic nephropathy) o Amyloidosiso Polycystic kidney disease o Lymphoma